upper 1/3rd of oesophagus is supplied by ?
1. superior pharyngeal artery
2. inferior thyroid artery
3. thorasic aorta
4. inferior phrenic artery

Correct answer: 2. inferior thyroid artery

Explanation: BLOOD SUPPLY OF ESOPHAGUS The rich arterial supply of the esophagus is segmental . ()Branches of the inferior thyroid artery-->UES and cervical esophagus. ()Paired aortic esophageal or arteries or terminal branches of bronchial arteries-->thoracic esophagus. The left gastric artery and a branch of the left phrenic artery4LE5 and the most distal segment of the esophagus. REF : BD CHAURASIA